Call-Exner bodies are seen in:
1. Granulosa cell tumor
2. Yolk Sac tumor
3. Choriocarcinoma
4. Dysgerminoma

Correct answer: 1. Granulosa cell tumor

Explanation: Ans. is 'a' i.e. Granulosa cell tumor Call Exner bodies are feature of Granulosa cell tumour.Call Exner bodies:The formation of call Exner bodies is a distinct feature of granulosa cells and can be readily recognized in certain types of granulosa cell tumours.These are composed of small spherical globules around which the granulosa cells are arranged radially. These structures form call Exner bodies.Also Know:* Schiller Duval body- Endodermal sinus tumour (yolk sac tumour)* Hobnail cells- Clear cell carcinoma* Reinke crystals- Hilus cell tumour* Walthard cell and puffed wheat cell- Brenner tumour* Rokitansky body- Teratoma